Morbid jealousy is most often seen in patients taking
1. Alcohol
2. Amphetamine
3. LSD
4. Cannabis

Correct answer: 1. Alcohol

Explanation: Some Complications of Alcohol Dependence Medical Complications Central Nervous System: i. Peripheral neuropathy ii. Delirium tremens iii. Rum fits (Alcohol withdrawal seizures) iv. Alcoholic hallucinosis v. Alcoholic jealousy vi. Wernicke-Korsakoff psychosis vii. Marchiafava-Bignami disease viii. Alcoholic dementia ix. Suicide x. Cerebellar degeneration xi. Central pontine myelinosis xii. Head injury and fractures. Ref: A Short Textbook of Psychiatry, Niraj Ahuja, 7th Edition, pg. no. 39